All of the following are features of prematurity in a neonate, except
1. No creases on sole
2. Abundant lanugo
3. Thick ear cartilage
4. Empty scrotum

Correct answer: 3. Thick ear cartilage

Explanation: Premature babies have soft and flat pinna with cartilage not reaching up to periphery, lightly pigmented scrotum and not yet descended testis or prominent labia minora and clitoris, faint marks on sole and no deep creases, poorly developed breast bud, fuzzy scalp hair and abundant lanugo. Reference : page 139-40 Ghai Essential Pediatrics 8th edition